Triad of normal-pressure hydrocephalus includes :
1. Tremor, aphasia dementia
2. Ataxia, aphasia, gait disorder
3. Gait disorder, urinary incontinence, dementia
4. Gait disorder, urinary incontinence, lower cranial nerve palsy

Correct answer: 3. Gait disorder, urinary incontinence, dementia

Explanation: Answer is C (Gait disorder, Urinary incontinence & Dementia): Normal Pressure Hydrocephalus (NPH) is a communicating hydrocephalus with a patent aqueduct of sylvius, caused by obstruction to normal flow of CSF over the cerebral convexities and delayed absorption into the venous system. Clinical triad Abnormal gait Q Dementia Q Urinary incontinence Q Neuroimaging Enlarged lateral ventricles Q (Hydrocephalus) Q with little or No Coical-Atrophy Q CSF picture Pressure : High normal range (Hence called NPH) Q Protein : Normal Q Sugar : Normal Q Cell count : Normal Q